The basal ganglia include all the following structures, EXCEPT?
1. Fornix
2. Claustrum
3. Globus pallidus
4. Caudate

Correct answer: 1. Fornix

Explanation: The basal ganglia are symmetrical subcortical masses of gray matter. The bulk of the basal ganglia is called the corpus striatum and is composed of the caudate nucleus and the lentiform nucleus. The lentiform nucleus in turn is divided into the putamen and globus pallidus. The claustrum is a thin layer of gray matter that is found lateral to the putamen and medial to the insula. The amygdala is a small almond-shaped structure that lies at the tail of the caudate nucleus in the mesial temporal lobe. The fornix is a paired structure that connects the mamillary bodies with the hippocampus. It is considered part of the limbic system. Ref: Barrett K.E., Barman S.M., Boitano S., Brooks H.L. (2012). Chapter 12. Reflex and Voluntary Control of Posture & Movement. In K.E. Barrett, S.M. Barman, S. Boitano, H.L. Brooks (Eds), Ganong's Review of Medical Physiology, 24e.